An inoculum size of 10-100 bacteria or cysts can produce infection in all except :
1. Shigella
2. Enterohemorrhagic Escherichia coli
3. Giardia lamblia
4. Vibrio cholerae

Correct answer: 4. Vibrio cholerae

Explanation: For Shigella, enterohemorrhagic Escherichia coli, Giardia lamblia, or Entamoeba, 10-100 bacteria or cysts can produce infection, while 1,00,000-10,00,00,000 Vibrio cholerae organisms must be ingested to cause disease. Reference: Harrisons Principles of Internal Medicine, 18th Edition, Page 1084